A combination of gynaecomastia, decreased serum testosterone and LH in a male patient is seen in:
1. Testicular failure
2. Sertoli cell tumor
3. Gonadotrophins
4. Androgen resistant state

Correct answer: 2. Sertoli cell tumor

Explanation: Answer is B (Sertoli cell tumour) : Decreased levels of Leutenizing hormone and testosterone suggest a disorder of increased primary estrogen production such as Sertoli cell tumors provided hypogonadotrophic hypergonadism has been excluded. Because hipogonadotrophic hypogonadism has not been inerilioned in the options. the answer of' choice is Sertoli cell tumor.